Nerve that winds around neck of fibula ?
1. Tibial nerve
2. Deep peroneal nerve
3. Superficial peroneal nerve
4. Common peroneal nerve

Correct answer: 4. Common peroneal nerve

Explanation: Common peroneal nerve winds around neck offibula to enter peroneus longus muscle. Because of its subcutaneous position it can be easily palpated here and is very prone to injury. So fracture neck of fibula may cause foot drop.